Opening of the aortic valve takes place during which of the following phase of the cardiac cycle?
1. Beginning of isovolumetric contraction
2. End of isovolumetric contraction
3. During protodiastole
4. At the end of diastasis

Correct answer: 2. End of isovolumetric contraction

Explanation: Opening of the aortic valve takes place during ventricular systole, especially during the phase of ventricular ejection which occur at the end of isovolumetric contraction. Duration of each cardiac cycle is 0.8seconds. Each cardiac cycle consist of an atrial and ventricular cycle. Atrial cycle consist of atrial systole and diastole. Ventricular cycle consist of ventricular systole (0.3s) and diastole (0.5s). Ventricular systole consist of isovolumetric contraction and phase of ventricular ejection. Ventricular diastole consist of protodiastole, isovolumetric relaxation, rapid filling phase, diastasis and last rapid filling phase. Ref: Essentials of Medical Physiology By Khurana Page 154-7.